The best method to show the association between height and weight of children in a class is by-
1. Bar chart
2. Line diagram
3. Scatter diagram
4. Histogram

Correct answer: 3. Scatter diagram

Explanation: - scatter maps show the relationship between two variables - if dots cluster round a straight line, it shows evidence of relationship of a linear nature. If there is no such cluster, it is probable that there is no relationship between the variables. Reference : Park's textbook of preventive and social medicine, 23rd edition, pg no:847